Tear drop fracture of lower cervical spine implies:
1. Wedge compression fracture
2. Axial compression fractures
3. Flexion-rotation injury with fractures of anterior body
4. Flexion compression fracture of body

Correct answer: 4. Flexion compression fracture of body

Explanation: Tear drop fracture is caused by combined axial compression and flexion injury. flexion tear drop fracture is a fracture of the antero inferior aspect of a cervical vertebral body due to flexion of the spine along with vertical axial compression.